Best Diagnosis for Ectopic gastric mucosa of meckels diverticulum -
1. Fluoroscopy
2. Occult blood test in stool
3. Ultrasound abdomen
4. Radionuclide scan

Correct answer: 4. Radionuclide scan

Explanation: Ans is 'd' ie. Radionuclide scan "If a Meckels diverticulum is suspected because of repeated gastrointestinal haemorrhage the abdomen can be scanned after the injection of 99Tc-labelled pertechnetate intravenously. This may localise heterotopic gastric mucosa revealing the site of a meckels diverticulum in 90% of cases." - Bailey & Love